Pantomography is done for except:
1. Dental caries
2. Dental cyst
3. TM joint
4. Transverse, fracture of Atlas

Correct answer: 4. Transverse, fracture of Atlas

Explanation: Ans. Transverse, fracture of Atlas